Infant of diabetic mother can have all of the following except:
1. Hyperbilirubinemia
2. Hypoglycemia
3. Hyperglycemia
4. Resp distress

Correct answer: 3. Hyperglycemia

Explanation: (C) Hyperglycemia # Perinatal complications: Fetus may suddenly die during the last trimester of pregnancy> Preterm delivery may have to be induced to avoid third trimester fetal death.> Macrosomia or large size of the body and its attending risks during delivery such as birth trauma, asphyxia and increased possibilities of cesarean section.> Neonatal respiratory distress> Hypoglycemia, Hyperbilirubinemia> Polycythemia and increased viscosity of blood.> higher risk of congenital anomalies, (infants of mothers with gestational diabetes are 20 times more risk to develop cardiovascular defects).> Cardiomyopathy and persistent pulmonary hypertension.> Lazy left colon syndrome.